Prepubertal periodontitis occurs
1. Before 11 yrs
2. At 12-15 years
3. At 18 years of age
4. After 20 years

Correct answer: 1. Before 11 yrs